75% negative predictivity indicate
1. 75% population have the disease
2. 25% population tested do not have the disease
3. There is 75% probability that the people tested negative for the disease, do not have the disease in reality
4. 75% population tested, 75% do not have the disease

Correct answer: 3. There is 75% probability that the people tested negative for the disease, do not have the disease in reality